CT scan of the head showing a biconvex hyperdense lesion displacing the grey-white matter interface is seen in which of the following condition?
1. Subdural hematoma
2. Diffuse axonal injury
3. Extradural hematoma
4. Hemorrhagic contusion

Correct answer: 3. Extradural hematoma

Explanation: 75% of extradural hematoma occur in the temporo parietal region secondary to the rupture of middle meningeal artery. A lucid interval is seen in 50% patients and precede clinical deterioration. On CT scan: It appear as a biconvex to lenticular, hyperdense, homogenous extracerebral zone adjacent to the inner table of the skull with sharp margins. Ref: Neuroradiology Companion: Methods, Guidelines, and Imaging Fundamentals By Mauricio Castillo, 3rd Edition, Page 46; Handbook of Stroke By David O. Wiebers, Page 108; Neuroscience in Medicine By P. Michael Conn, 3rd Edition, Page 758; Advances and Technical Standards in Neurosurgery By J D Pickard, V. V. Dolenc, J. Lobo Antunes, Volume 27, Page 63; Diseases of the Brain, Head and Neck, Spine: Diagnostic Imaging and ... By J. Hodler, Jurg Hodler, Page 70.